Which one of the following statement about imipenem is most accurate ?
1. The drug has a narrow spectrum of anti-bacterial action
2. It is used in fixed combination with sulbactam
3. Imipenem is highly susceptible to beta lactamase produced by enterobacteriaciae
4. In renal dysfunction, dosage reduction are necessary to avoid seizures

Correct answer: 4. In renal dysfunction, dosage reduction are necessary to avoid seizures